Bumper fracture:
1. Fracture of fibula
2. Fracture of distal tibia
3. Fracture of medial tibial plateau
4. Fracture of lateral tibial plateau

Correct answer: 4. Fracture of lateral tibial plateau

Explanation: Ans. (d) Fracture of lateral tibial plateauRef: BRS: gross anatomy 7th ed. / 83* Bumper fracture is a fracture of the lateral tibial plateau caused by a forced valgus applied to the knee usually by the impact bumper of a moving car on the lateral side of the knee while the foot is planted on the ground.* This causes the lateral part of the distal femur and the lateral tibial plateau to come into contact, compressing the tibial plateau and causing the tibia to fracture.